Direct zoonose is -a)  Rabiesb)  Brucellosisc)  Taeniasisd)  Hydatid disease
1. ac
2. a
3. ad
4. ab

Correct answer: 4. ab